In which of the following conditions sialography is contraindicated:
1. Ductal calculus
2. Chronic parotitis
3. Parotid obstruction
4. Acute sialadenitis

Correct answer: 4. Acute sialadenitis

Explanation: Main Indications of Sialography Salivary duct stones Stricture Fistula. penetrating injury Intraglandular and sometimes extra glandular mass lesions. Contraindications Iodine allergy Acute sialadenitis Contrast Water soluble media (Meglumine diatrizoate)